Aplastic anaemia is common with
1. Chloramphenicol
2. Cephalosporin
3. Tetracycline
4. Penicillin

Correct answer: 1. Chloramphenicol